Hypercoagulation in nephrotic syndrome is caused by-
1. Loss of antithrombin III
2. Decreased fibrinogen
3. Decreased metabolism of Vitamin K
4. Increase in protein C

Correct answer: 1. Loss of antithrombin III

Explanation: Patients with nephrotic syndrome may develop spontaneous arterial or venous thrombosis, renal vein thrombosis and pulmonary embolism due to various factors. These include increased urinary loss of antithrombin III, hyperfibrinogenaemia from the increased synthesis in the liver decreased fibrinolysis, increased platelet aggregation and altered levels of protein C and S. Ref: Textbook of pathology Harsh Mohan 6th edition page 661